Marfan’s syndrome is due to defect of?
1. Elastin
2. Collagen
3. Fibrillin
4. Lamillin

Correct answer: 3. Fibrillin

Explanation: “Marfan's syndrome caused by a recurrent de novo missense mutation in the fibrillin-1 gene”
√ Mutations in the fibrillin-1 gene cause Marfan's syndrome
√ Mutations in the fibrillin-2 gene have been linked to Beals Syndrome.